Strength of sewage is best expressed by
1. E-coli count
2. Suspended particles
3. Chemical oxygen demand
4. Biological oxygen demand

Correct answer: 4. Biological oxygen demand

Explanation: The most important test carried out on sewage. Sewage with a BOD value of:

300mg/I (300 ppm) or above is termed as strong. 
100 mg/I (100 ppm) or below is termed as weak.